Which of the following local anesthetics causes methemoglobinemia:-
1. Lignocaine
2. Benzocaine
3. Chloroprocaine
4. Dibucaine

Correct answer: 2. Benzocaine

Explanation: Methemoglobinemia * Benzocaine * Prilocaine * EMLA Cream (Lignocainee + Prilocaine) Physiologically Iron in Hb is Fe2+ If iron in Hb is Fe3+ - Methemoglobin Rx: IV Methylene Blue